Pneumococcal resistance to penicillin G is mainly acquired by  :
1. Conjugation
2. Transduction
3. Transformation
4. All of the above

Correct answer: 3. Transformation

Explanation: Acquisition of antibiotic resistance by Transduction is common in Staphylococcal and that of by Transformation in Pneumococcus and Neisseria.
Vancomycin resistance in enterococci and Staphylococcus is mediated by the conjugative plasmid.